Involucrum is
1. Dead bone
2. New live bone surrounding dead bone
3. Previous live bone
4. Sclerotic bone

Correct answer: 2. New live bone surrounding dead bone